Nucleic acid absorbs light at wavelength of 260 mm due to
1. Proteins
2. Ribose
3. Purines & Pyrimidines
4. Deoxyribose

Correct answer: 3. Purines & Pyrimidines

Explanation: DNA bases (purines and pyrimidines) absorb UV light of 260 nm.